Purpose of the post treatment retention of an orthodontic case is:
1. To allow bony changes
2. To prevent tongue thrusting
3. To encourage the space closure
4. To Let the patient get used to the new functional position of the teeth

Correct answer: 1. To allow bony changes